All of the following are true about Herpes group virus except-
1. Ether sensitive
2. May cause malignancy
3. HSV II involves below diaphragm
4. Burkitt's lymphoma involves Tcells

Correct answer: 4. Burkitt's lymphoma involves Tcells

Explanation: Herpes viruses are susceptible to fat solvents like alcohilic ether chlorofirm and bike salts. REF:ANANTHANARAYAN AND PANIKER'S TEXTBOOK OF MICROBIOLOGY 9TH EDITION PAGE NO:466